Rule of Nine estimates :
1. The extent of the burn.
2. Degree of severity.
3. Degree of infection.
4. The extent of mortality.

Correct answer: 1. The extent of the burn.